Bain's circuit is Mapelson type___ circuit.
1. Type A
2. Type B
3. Type D
4. Type E

Correct answer: 3. Type D

Explanation: Ans. c (Type D). (Ref. Short textbook Anaesthesia 2n ed., 27)Breathing circuitsA. Open system (Out dated), B. Semiopen (Out dated), C. Semiclosed (Mapleson circuits), and D. Closed.MAPLESON ANAESTHESIA CIRCUITS 1. Mapleson type A (Magill's or Lack circuit) is the circuit of choice for spontaneous ventilation2. Mapleson type B, C are equally efficient for controlled and spontaneous ventilation (but no more used)3. Mapleson type D (Bain's circuit) is the circuit of choice for controlled ventilation4. Mapleson type E is paediatric circuit5. Mapleson type F circuit is Jackson and Rees modification of Ayre's T piece and used in patients with age <6years or weight<20kg CIRCUITFRESH GAS FLOW Spontaneous ventilationControlled ventilation1.Type AEqual to minute volume2xminute volume2.Type D2.5xminute volume1.6xminute volume3.Type E and F3xminute volume2xminute volume